Ureter pierces the following structure in pelvis
1. Round Ligament
2. Mackenrodt's ligament
3. Ovarian ligament
4. Broad ligament

Correct answer: 2. Mackenrodt's ligament

Explanation: Ureter pierces Mackenrodt's ligament where a canal, the ureteric canal is developed.